Regarding Anopheles mosquito true is all except -
1. Eggs are laid singly on water
2. Larva dont have siphon
3. Wings are spotted
4. Pupa dont have siphon

Correct answer: 4. Pupa dont have siphon

Explanation: park's textbook of preventive and social medicine 23rd edition.*anophelini anopheles mosquitoes:eggs are laid singly and are boat shaped,and provide with lateral floats larva have no siphon tubes ,palmate hairs present on abdominal segments pupae has siphon tube which is broad and short adult forms has spotted wings ,when at rest inclined at an angle to surface ,palpilong in both sexes .